The cause of nephrocalcinosis in systemic granulomatous disease is:
1. Overproduction of 1,25 dihydroxy vitamin D
2. Dystrophic calcification
3. Mutation in calcium sensing receptors
4. Increased reabsorption of calcium

Correct answer: 1. Overproduction of 1,25 dihydroxy vitamin D

Explanation: Nephrocalcinosis is deﬁned as calciﬁcation of the renal interstitium and tubules. It is associated with hypercalcemia, which occurs due to overproduction of vitamin D.